Changes in blood passing through the systemic capillaries are all except
1. Increase in hemotocrit
2. pH decreases
3. Shift of oxygen dissociation curve to the left
4. Increase in protein content

Correct answer: 3. Shift of oxygen dissociation curve to the left

Explanation: In systemic capillaries pO2<CO2The decrease in O2 affinity of hemoglobin when the pH of blood falls is called the Bohr effect and is closely related to the fact that deoxygenated hemoglobin which occure in systemic capillaries. The pH of blood falls as its CO2 content increases, so that when the PCO2 rises, the curve shifts to the rightIncrease in hematocrit because of chloride shift occurs in capillariesBecause the rise in the HCO3- content of red cells is much greater than that in plasma as the blood passes through the capillaries, about 70% of the HCO3- formed in the red cells enters the plasma. The excess HCO3- leaves the red cells in exchange for Cl-.Note that for each CO2 molecule added to a red cell, there is an increase of one osmotically active particle in the cell-- either an HCO3- or a Cl- in the red cell. Consequently, the red cells take up water and increase in size. This increase hematocritpH decreases due to the formation of HO3- anion, and H2CO3Ref: Ganong's Review of Medical Physiology Twenty-Third Edition Page No:611